Acrosome reaction occurs in -
1. Testis
2. Cervix
3. Uterus
4. Fallopian Tube

Correct answer: 4. Fallopian Tube

Explanation: Ans. is 'd' i.e., Fallopian Tube o Acrosome reaction and fertilizatium occur in ampulla of fallopian tube.